Which of the following drugs has both 5HT4 agonist and D2 antagonist property
1. Ondansetron
2. Metoclopramide
3. Benzhexol
4. Ibutilide

Correct answer: 2. Metoclopramide

Explanation: Metaclopramide is a prokinetic drug which is 5HT4 agonist and D2 antagonist used as antienetic.